Cobra head deformity is characterstic of –
1. Posterior urethral valve
2. Ureterocele
3. Bladder tumor
4. Cytitis

Correct answer: 2. Ureterocele

Explanation: Cobra head (Adder head) ureteric orifice is seen in ureterocoel (mc. cause), stone, tumor and following retrograde catheterization.